Gerota's fascia is:
1. Renal fascia
2. Fibrous capsule
3. Layer of perirenal fat
4. Layer of pararenal fat

Correct answer: 1. Renal fascia

Explanation: Ans. A: Renal fascia